This drug can clear trypanosomes from blood and lymph nodes and is active in late CNS stages of African sleeping sickness. It is:
1. Emetine
2. Melarsoprol
3. Nifurtimox
4. Suramin

Correct answer: 2. Melarsoprol

Explanation: Treatment of trypanosomiasis is: African sleeping sickness * Early Haemolymphatic stage : Suramin * Late CNS Stages : Melarsoprol South American disease (Chagas disease) : Benznidazole